Which of the following conditions typically has rickets with normal or low calcium, elevated phosphorus, elevated parathormone, and elevated alkaline phosphatase?
1. Vitamin D deficiency
2. Fanconi syndrome
3. Dent's disease
4. Chronic kidney disease

Correct answer: 4. Chronic kidney disease

Explanation: All of the above conditions are causes of Rickets, so elevated alkaline phosphatase is seen in all the above. Chronic kidney disease is the only condition out of the above, where Phosphate is elevated.